Greenish discoloration of the body first seen in the right iliac fossa after death is due to formation of -
1. Sulph hemoglobin
2. Meth hemoglobin
3. Sulph - meth hemoglobin
4. None of the above

Correct answer: 3. Sulph - meth hemoglobin

Explanation: Greenish discolouration is due to formation of sulphmethaemoglobin by combinig hydrogen sulphide produced by bacteria with hemoglobin over right iliac fossa. Dr. Narayana Reddys Synopsis of Forensic Medicine & Toxicology 27 th edition pg. 83.